Virchow method of organ removal is:
1. Organs removed en masse
2. Organs removed one by one
3. In situ dissection
4. Organs removed en bloc

Correct answer: 2. Organs removed one by one

Explanation: Ans. Organs removed one by one